Asepsis means -
1. Absence of pathogenic microbes
2. Disinfection of the surface
3. Prevention of infection
4. Destroying all forms of micro organism

Correct answer: 1. Absence of pathogenic microbes